Increased nuchal fold thickness is a feature of :
1. Paul-Bunnel syndrome
2. De-pan syndrome
3. Down's syndrome
4. Cri-duchat syndrome

Correct answer: 3. Down's syndrome

Explanation: Answer is C (Down's Syndrome) : Ultrasonography in a case of Down's syndrome Q may reveal increased nuchal fold thicknessY (Note that this is also a .feature of Turner's Syndrome.Q